The theory of impression making that is based on the principle of “occlusal loading during impression making is same as that during function” is
1. Mucostatic technique
2. Mucocompressive technique
3. Selective pressure technique
4. All of the above

Correct answer: 2. Mucocompressive technique

Explanation: Mucocompressive theory presumes that occlusal loading during impression making is same as during function.